Most common ALL subtype:
1. Pre B cell
2. Pre T cell
3. T cell
4. B cell

Correct answer: 1. Pre B cell

Explanation: Ans. (a) Pre B cellRef: Robbin's pathology 9th ed. /590-93* Most common subtype of ALL is LI according to older classification and Pre B cell variety by the latest WHO classification.* The recent WHO International panel on ALL recommends that the FAB classification be abandoned, since the morphological classification has no clinical or prognostic relevance. It instead advocates the use of the immunophenotypic classification mentioned below:* Acute lymphoblastic leukemia/lymphoma.# Synonyms: Former Fab L1/L2Precursor B Acute Lymphoblastic Leukemia/Lymphoma.Cytogenetic Subtypes1. t(12;21) (pl2,q22)2. t(l;19) (q23;pl3)3. t(9;22) (q34;ql 1)4. t(V,l l) (V;q23)Precursor T Acute Lymphoblastic leukemia/lymphoma* Burkitts leukemia/lymphoma. Synonyms: Former FAB L3* Biphenotypic acute leukemia